maximum air volme in the lu ng -
1. 1200 ml
2. 2400ml
3. 3000ml
4. 5900ml

Correct answer: 4. 5900ml

Explanation: Ans. is 'd* i.e., 5900 ml.# Total lung capacity (TLC): - It is the maximum volume of air in the lung at the end of maximal inspiration, i.e,, maximum amount of air the lung can contain. In other words, TLC = TV + 1RV + ERV + RV or TLC = VC + RV (because VC = TV + IRV + ERV). TLC is about 5900 ml.